Manifestation of epidemic Dropsy are all except -
1. Gastrointestinal bleed
2. Cutaneous hemangiomas
3. Breathlessness
4. C HF

Correct answer: 1. Gastrointestinal bleed

Explanation: The symptoms of epidemic dropsy are sudden non inflammatory bilateral swelling of legs with diarrhoea,dyspnoea cardiac failure glaucoma, and even deathREF.PARK'S TEXTBOOK OF PREVENTIVE AND SOCIAL MEDICINE.Editon-21.Page no.-608.